Longer rigor mortis occurs with -
1. Vegetables poisons
2. Strychnine
3. Opium
4. Septicemia

Correct answer: 2. Strychnine

Explanation: The onset of rigor mortis is early and persists for longer duration in strychnine poisoning. Dr. Narayana Reddys Synopsis of Forensic Medicine & Toxicology 27 th edition pg. 80.